Most common cyst in oral region is
1. Medial cyst
2. Radicular cyst
3. Follicular cyst
4. Naso labial cyst

Correct answer: 2. Radicular cyst